Which of the following is true about obstructi azoospermia:
1. FSH and LH increased
2. Normal FSH and normal LH
3. LH raised/ Normal FSH
4. FSH raised, Normal LH

Correct answer: 2. Normal FSH and normal LH

Explanation: Shaw's textbook of Gynaecology- 16th edn- pg no 244. Normal FSH and LH level indicates obstructive lesion in the vas or epididymis. High FSH indicates gonadal failure. Low FSH Indicates pituitary or hypothalamic failure.